False about laryngeal papillomatosis
1. Due to HPV infection
2. Microdebrider used for excision
3. If leads to Respiratory distress. Tracheotomy is done as immediate procedure
4. High Recurrence rate

Correct answer: 3. If leads to Respiratory distress. Tracheotomy is done as immediate procedure

Explanation: Tracheotomy is avoided due to spread of papillomas.